Monday disease is seen with exposure to?
1. Verapamil
2. Nitroglycerine
3. Benzodiazepines
4. Propranolol

Correct answer: 2. Nitroglycerine

Explanation: MONDAY DISEASE: Workers in nitroglycerin (NTG) manufacturing facilities, can develop headaches and postural weakness initially. After constant exposure through the week they develop tolerance to the effects of NTG. Over the weekend, the workers lose the tolerance (Nitrate free interval), and when they are re-exposed on Monday, there is exaggerated vasodilation, which produces a tachycardia, dizziness, and a headache,